Which among the following is not formed by kidney?
1. Erythropoietin
2. Renin
3. Vitamin D
4. Aldosterone

Correct answer: 4. Aldosterone

Explanation: Ans: d (Aldosterone) Ref: Ganong 22nd ed/ p.454)Kidney produces 3 hormones1) 1,25(OH) cholecalciferol (vitamin D)2) Renin3) ErythropoietinAldosterone: is produced by Zona Glomerulosa of adrenal cortex.Erythropoietin: by the interstitial cells in the peritubular capillaries in kidneys (85%) and perivenous hepatocytes of liver (15%).Renin: by the juxta glomerular cells of the kidney.Renin Angiotensin SystemAngiotensinogen (from liver) - found in alpha 2 globulin fraction of plasma Renin (from JG cells)Angiotensin I ACE (Angiotensin converting enz. from Pulm. endothelium)Angiotensin IIMetabolism of vitamin D